Absorption of CSF is through:
1. Choroid plexus
2. Arachnoid granulation
3. Cavernous sinus
4. Cistern

Correct answer: 2. Arachnoid granulation

Explanation: Ans. B. Arachnoid granulationCerebrospinal fluid (CSF) is a clear, colourless body fluid found in the brain and spinal cord. It is produced by the specialized ependymal cells in the choroid plexuses of the ventricles of the brain, and absorbed in the arachnoid granulations. There is about 125mL of CSF at any one time, and about 500 mL is generated every day. CSF acts as a cushion or buffer for the brain, providing basic mechanical and immunological protection to the brain inside the skull. CSF also serves a vital function in cerebral autoregulation of cerebral blood flow.CSF occupies the subarachnoid space (between the arachnoid mater and the pia mater) and the systema round and inside the brain and spinal cord. It fills the ventricles of the brain, cisterns, and sulci, as well as the central canal of the spinal cord.